Which of the following drug undergoes Hoffman's elimination?
1. Atracurium
2. Pancuronium
3. Mivacurium
4. Vecuronium

Correct answer: 1. Atracurium

Explanation: Ans. (A) Atracurium(Ref: KDT 8th/e p380)Atracurium and cis-atracurium undergo Hoffmann's elimination (spontaneous non-enzymatic molecular rearrangement) and are the agents of choice for patients with hepatic or renal insufficiency.Atracurium is metabolized to laudanosine that is responsible for seizures. Cis-atracurium is relatively safe in this regard.